A patient after having a fracture of middle cranial fossa complains of loss of tear secretion. This is due to the injury to
1. Trigeminal nerve
2. Stellate ganglion
3. Greater petrosal nerve
4. Ciliary ganglion

Correct answer: 3. Greater petrosal nerve

Explanation: Greater petrosal nerve arises from the geniculate ganglion of the facial nerve, enters the middle cranial fossa by emerging at the hiatus for the greater petrosal nerve on the anterior surface of the petrous temporal bone. It joins the deep petrosal nerve and forms the nerve of the pterygoid canal which reaches the pterygopalatine ganglion. The postganglionic parasympathetic fibres ultimately supply the lacrimal gland and the mucosal glands of pharynx, palate and nose. Ref: